Swine Flu pandemic in 2009 was caused due to which strain:
1. H1N1
2. H3N1
3. H5N1
4. H7N1

Correct answer: 1. H1N1

Explanation: Ans. A: H1N1 Swine flu is also known as swine influenza, hog flu and pig flu. In 2009 the media labeled as "swine flu" the flu caused by 2009's new strain of swine-origin A/H1N1 pandemic virus just as it had earlier dubbed as "an flu" flu caused by the recent Asian-linage HPAI (High Pathogenic An Influenza) H5N1 strain that is still endemic in many wild bird species in several countries.